Ideally, the total motile sperm count in the IUI specimen should be
1. 10 millilon/ml or more
2. 12 millilon/ml or more
3. 15 millilon/ml or more
4. 20 millilon/ml or more

Correct answer: 1. 10 millilon/ml or more

Explanation: IUI is the best studied and most widely practiced of all the insemination techniques. It involves placement of about 0.3 to 0.5 mL of washed, processed, and concentrated sperm into the intrauterine cavity by transcervical catheterization.Ideally, the total motile sperm count in the IUI specimen should be 5 million or 10 million or more.Pregnancy rates with semen meeting those thresholds have been reported to be 10.5% per cycle and 38% after 4 to 6 cycles.ICSI should be offered if the semen analysis shows less than 2 million motile sperm, less than 5% motility, or if surgically recovered sperm are used. Reference: Novak's Gynecology; 14th edition; Chapter 32; Infertility and Assisted Reproductive Technology